Melatonin is derived from ?
1. Tyrosine
2. Tryptophan
3. Glutathione
4. None

Correct answer: 2. Tryptophan

Explanation: Ans. is 'b' i.e., Tryptophan